Which of the following is the most preferred approach for pituitary surgery at the present time?
1. Transcranial
2. Transcallosal
3. Transethmoidal
4. Transsphenoidal

Correct answer: 4. Transsphenoidal

Explanation: Transsphenoidal approach through the nose is the most preferred approach for pituitary surgeries. Craniotomy is needed for resection of large tumors. Ref: Bailey and Love Short Practice of Surgery, 25th Edition, Page 634.